The enzyme deficient is Lesch-Nyhan syndrome is:
1. GTRT
2. Glutaminase
3. Transcarboxylase
4. HGPRT

Correct answer: 4. HGPRT

Explanation: D i.e. HGPRT